True about atrioventricular groove are all except ?
1. Contains left anterior descending coronary artery
2. Also called coronary sulcus
3. Contains right coronary artery
4. Contains circumflex branch of left coronary artery

Correct answer: 1. Contains left anterior descending coronary artery

Explanation: Ans. is 'a' i.e., Contains left anterior descending coronary arteryGrooves (sulci) of heartA) Atrioventricular grooveAtria are separated by ventricles by atrioventricular Sulcus (atrioventricular groove, also called coronary sulcus).It is divided into anterior and posterior parts. The right half of anterior part is large and lodges right coronary artery. Left half of anterior part is small and lodges circumflex branch of left coronary artery.B) Interventricular groovesRight and left ventricles are separated by interventricular grooves.Anterior interventricular groove is nearer to left margin of heart and contains anterior interventricular artery (also called left anterior descending artery).Posterior interventricular groove is situated on diaphragmatic (inferior) surface. It contains posterior interventricular artery (continuation of RCA).